All are side effects of Oral Contraceptive Pills (OCPs) except:
1. Breast cancer
2. Ovarian Cancer
3. Liver disease
4. Thromboembolism

Correct answer: 2. Ovarian Cancer

Explanation: Adverse effects of combined oral contraceptive Pills (OCPs) Beneficial effects of Combined Oral Contraceptive Pills (OCPs) Cardiovascular effects : Myocardial infarction Cerebral thrombosis Venous thrombosis Hypertension Carcinogenesis: Cervical cancer Breast cancer Metabolic effects: Elevated blood pressure Altered lipid profile Blood clotting Hyperglycemia Hepatocellular adenoma Gall bladder disease Cholestatic jaundice Monilial vaginitis (candidiasis) Decline milk volume during lactation Slight delay in return of fertility Depression Fetal birth defects General effects: Breast tenderness Weight gain Headache & migraine Bleeding disturbances Benign breast disorders (Fibrocystic disease, Fibroadenoma_) Benign ovarian disease (Ovarian cysts) Malignant ovarian disease (Ovarian CA) Pelvic inflammatory disease (PID) Ectopic pregnancy Iron deficiency anemia Endometrial cancer